Mean value of weight of a group of 10 boys was found to be 18.2 kg. Later it was found that weight of one of the boys was wrongly recorded as 2.0 kg that should have been 20 kg. The true mean weight of the group is:
1. 18.2 kg
2. 20.2 kg
3. 16.4 kg
4. 20 kg

Correct answer: 4. 20 kg

Explanation: Mean (Average(e): Is obtained as sum of all values divided by the no. of values Mean = [?]x/n In the given question, = 18.2 kg and n=10 Thus [?]x = 182 Also, weight of one of the boys was wrongly recorded as 2.0 kg that should have been 20 kg True [?]x= 182 + (20- 2.0) = 200 So true Mean =[?]x(true)/n = 200/10 = 20.0 kg.